It is essential to lubricate dam before applying it. Which of these is NOT a suitable lubricant?
1. Shaving cream
2. Liquid soap
3. Scrub gel
4. Vaseline

Correct answer: 4. Vaseline